Risperidone is most commonly used to treat which of the following disorders?
1. Dementia
2. Depression
3. Schizophrenia
4. Obsessive-Compulsive disorder

Correct answer: 3. Schizophrenia

Explanation: Risperidone, is an atypical antipsychotic. It is used to treat schizophrenia, bipolar disorder, and irritability associated with autism. It is taken either by mouth or by injection into a muscle. The injectable version is long-acting and lasts for about two weeks. Ref KD Tripati 8th ed.